Reactive arthritis is usually caused by -
1. Shigella flexneri
2. Shigella boydii
3. Shigela shiga
4. Shigela dysentriae

Correct answer: 1. Shigella flexneri

Explanation: Ans. is 'a' i.e.. Shigella Flexneri o Organisms that have been associated with Reiter Arthritis include the follow ing:C trachomatis (L2b serotype)Ureaplasma urealyticumNeisseria gonorrhoeaeShigella flexneriSalmonella enterica serovars TyphimuriumMycoplasma pneumoniaeMycobacterium tuberculosisYersinia enterocolitica and pseudotuberculosisCampylobacter jejuniClostridium difficileBeta-hemolytic (example, group A) and viridans streptococci